A girl about to marry has comedonal acne. Drug to treat such a case is:
1. Topical antibiotic
2. Benzoyl peroxide
3. Retinoids
4. Estrogen

Correct answer: 3. Retinoids

Explanation: Ans. C i.e. RetinoidsRetinoids are mainly comedolyticAcneComedones are characteristic of: Acne vulgarisComedones are:- Small cysts,- formed in hair follicles,- due to blockage of the follicular orifice- by the retention of sebum and keratinous materialAcen vulgaris is caused by: Obstruction of pilosebaceous duct Nodulocystic acne (NA)Treatment of NA: Isotretinonin (synthetic retinoic acid)